A neonate presented with fever, lathargy, abdominal distension, Vomiting and constipation. Clinically he was diagnsoed as volvulus nenatarum with suspected perforation. Best investigation would be
1. Plain x-ray
2. Barium enema
3. Upper GI endoscopy
4. Barium meal follow through

Correct answer: 1. Plain x-ray

Explanation: .Volvulus neonatorum It is predisposed to by arrested gut rotation with a resultant narrow mesentry of the small bowel and caecum. Symptoms:repeated vomiting,dehydration,abdominal distension Abdominal radiography shows evidence of duodenal obstruction. Laprotomy shows distended stomach and coils of small bowel BAILEY AND LOVE'S SHO PRACTICE OF SURGERY,PG NO:1197,24th edition